Capsid of viral structure is
1. Extracellular infectious particle
2. Protein coat around nucleic acid
3. Envelope around a virus
4. None of the above

Correct answer: 2. Protein coat around nucleic acid